Artery to bleed in duodenal ulcer haemorrhage -
1. Splenic artery
2. Gastroduodenal artery
3. Left gastric artery
4. Sup. mesenteric artery

Correct answer: 2. Gastroduodenal artery

Explanation: Gastro duodenal artery is the most common artery involved in duodenal ulcer hemorrhage. Also, remember A peptic ulcer is the most common cause of massive upper gastrointestinal bleed (Duodenal ulcers > Gastric ulcers) Bleeding ulcers in the duodenum are usually located on the posterior surface of the duodenal bulb. Ref : Bailey & Love 25/e p1045